Whooping cough is caused by?
1. C.dipthera
2. B.pertussis
3. M.catarrhalis
4. S.pneumonea

Correct answer: 2. B.pertussis

Explanation: Ans. (b) B.pertisusRef: Harrison's 18th ed ch-148